All of the following take part in blood supply of Optic Chiasm except :
1. Anterior cerebral artery
2. Middle cerebral artery
3. Anterior communicating artery
4. Internal carotid artery

Correct answer: 2. Middle cerebral artery

Explanation: Blood supply of optic chiasm Arterial supply Superior Aspect -Anterior Cerebral & Anterior Communicating artery. Inferior aspect - Internal carotid artery Posterior Communicating artery Anterior Superior Hypophyseal artery Venous Supply- Superior Aspect- Superior Chiasmal vein drains into Anterior Cerebral veins Inferior Aspect - Pre- infundibular vein Draining into Basilar vein Circulus arteriosus (circle of Willis) Large arterial anastomosis that unites the internal carotid and vertebrobasilar systems. Lies in the subarachnoid space within the basal cisterns that surround the optic chiasma and infundibulum Blood supply of Optic Chiasma